Green discharge is M. Commonly seen with ?
1. Duct papilloma
2. Duct ectasia
3. Retention cyst
4. All

Correct answer: 2. Duct ectasia

Explanation: Ans is 'b' ie Duct ectasia